Nerve likely to be injured in posterior dislocation of the Hip joint is
1. Superior gluteal nerve
2. Inferior gluteal nerve
3. Sciatic
4. Pudendal

Correct answer: 3. Sciatic

Explanation: Dislocation of the hip may be posterior (more common), anterior (less common), or central (rare). The sciatic nerve may be injured in posterior dislocations.Ref: BDC 6th edition (Abdomen and lower limb) pg: 154